Deformity with decreased carrying angle is-
1. Cubitus varus
2. Mannus varus
3. Cubitus valgus
4. Mannus valgus

Correct answer: 1. Cubitus varus

Explanation: Answer- A. Cubitus varusCarrying angle:Angle between long axis of arm and forearm is called carrying angle.It is measured with the elbow in frilI extention.Cubitus Varus develops with is reduced carrying angle and cubitus valgus is increased carrying angle.Varus - distal part towards midline and valgus is distal part away from midline.